Minimum amount of GI bleed to cause malena is
1. 10 ml
2. 40 ml
3. 60 ml
4. 115 ml

Correct answer: 3. 60 ml

Explanation: Melaena refers to the passage of typical black, tarry coloured foul smelling stool. It signifies upper GI bleed. At least 50-60 ml bleeding should be there to cause melaena. Reference : page 834 SRB's manual of surgery 5th edition